Sellick manouever is used lo prevent:
1. Alveolar collapse
2. Hypertension
3. Aspiration of Gastric content
4. Bradycardia

Correct answer: 3. Aspiration of Gastric content

Explanation: Ans: C (Aspiration of Gastric content) Management of Full Stomach (Aiav Yadav 3rd/102)If general anaesthesia is to be given, it should be rapid sequence (crash) intubation while assistant maintains the cricoids pressure (Sellick's manoeavre) Cricoid pressure compresses esophagus against vertebral column preventing aspiration .In rapid sequence intubation after preoxygenation for 4 to 5 minutes (many clinicians consider 4 deep breaths with 100% O2 equally effective for denitrogenation, to preoxygenation for 5 minutes) induction agent is given followed immediately by succinylcholine.Ventilation with bag and mask is not done because with bag and mask ventilation the air leak into stomach can achieve intragastric pressure > 20 cmH2O (critical pressure for aspiration) easily. An assistant applies pressure over cricoids to prevent regurgitation tilt the cuff of endotracheal tube is inflated